Which of the following condition is associated with Iris pearls?
1. Sarcoidosis
2. Hansen's disease
3. Tuberculosis
4. Sympathetic ophthalmitis

Correct answer: 2. Hansen's disease

Explanation: Iris pearls are pathognomonic for Hansen's disease. They represent small lepromata that have "worked their way through" the interstices of the iris to reach the iris surface. A pathognomonic sign of lepromatous leprosy is the presence at the pupillary margin of smal glistening 'iris pearls' composed of bacilli within histiocytes which resemble a necklace